Vitamin E toxicity causes
1. Reduce platelet aggregation
2. Polyneuropathy
3. Spinocerebellar ataxia
4. Retrolental fibroplasia

Correct answer: 1. Reduce platelet aggregation

Explanation: (A) Reduce platelet aggregation # Vitamin E Toxicity:> It is likely that patients with vitamin E toxicity have been using vitamin E supplements; obtain the dose and duration of vitamin E usage. Assess concurrent use of anticoagulants or aspirin.> A nutritional assessment for vitamin K deficiency is useful in patients who present with bleeding or an elevated PT.> Effects of acute vitamin E toxicity include the following: Nausea; Gastric distress; Abdominal cramps; Diarrhea; Headache; Fatigue.> Easy bruising and bleeding - Prolonged prothrombin time (PT) and activated partial thromboplastin time (aPTT).> Inhibition of platelet aggregation: Diplopia - At dosages as low as 300 IU; Muscle weakness; Creatinuria.> Chronic toxicity effects include all of the above, suppression of other antioxidants, and increased risk of hemorrhagic stroke.